Cast metal is protected from localized porosity by
1. Bevelling
2. Adding reservior sprue.
3. Tunneling
4. Investment

Correct answer: 2. Adding reservior sprue.

Explanation: Proper planning if sprue location and reservior are essential to prevent porosity in cast alloys.